Which of the following organelle is associated with production and destruction of H2O2 ?
1. Peroxisomes
2. Lysosomes
3. Ribosomes
4. Golgi bodies

Correct answer: 1. Peroxisomes

Explanation: Oxidases use O2 to oxidize organic substances and produce hydrogen peroxide (H2O2). Breakdown of hydrogen peroxide (H2O2), a potentially dangerous product of fatty-acid oxidation. It is catalyzed by the enzyme catalase. Both enzymes are present in peroxisomes. Though Lysosomes produce H2O2 it can't degrade it.